Modified Allen's test is for checking the proper arterial supply at the
1. Wrist
2. Arm
3. Elbow
4. Forearm

Correct answer: 1. Wrist

Explanation: Ans. a. Wrist